Most common cause of Neonatal conjunctivitis causing
blindness is
1. Chlamydia
2. Chemical
3. Gonococcus
4. Herpes simplex

Correct answer: 3. Gonococcus

Explanation: Most common cause of Neonatal conjunctivitis causing blindness is Gonococcus.